All of the following are characterized by upper lobe Fibrosis except
1. Silicolis
2. Busulphan
3. Cystic Fibrosis
4. Histoplasmosis

Correct answer: 2. Busulphan

Explanation: Busulphan causes lower lobe fibrosis.